First line treatment of T315I mutation in CML management is?
1. Bosutinib
2. Tofacitinib
3. Ponatinib
4. Nilotinib

Correct answer: 3. Ponatinib

Explanation: T315I mutation is a mutation in the critical BCR-ABL kinase in the ATP-binding pocket This prevents imatinib binding and hence leads to resistance to imatinib, nilotinib, bosutinib, and dasatinib. Only drug effective for T315I mutation CML = Ponatinib. Otherwise DOC CML= Imatinib. DOC for Imatinib resistant CML = Bosutinib DOC in case of failure of > 2 Tyrosine kinase inhibitor = OMACETAXINE